Most common artery involved in pancreatic pseudoaneurysm
1. Gastroduodenal artery
2. Inferior pancreaticoduodenal artery
3. Gastric artery
4. Splenic artery

Correct answer: 4. Splenic artery

Explanation: Arteries involved in pseudoaneurysm associated with pancreatic pseudocyst Splenic Artery (30-50%):Most common Gastroduodenal artery : (10-15%) Inferior and superior pancreaticoduodenal artery (10%) Ref: Maingot 11th edition Pgno :977